Workshop is
1. Discussion between 6 members
2. Series of speeches on the topic
3. Series of four or more meetings
4. Situation dramatized by a group

Correct answer: 3. Series of four or more meetings

Explanation: Symphosium : Series op speeches on a selected topic.
Role - playing : Situation dramatized by a group.
Panel - discussion : 4 - 8 persons discuss about a topic in front of audience.